Gingival finish lines are placed
1. Supra/subgingivally according to need
2. For better cleansing
3. Subgingivally only
4. Supragingivally only

Correct answer: 1. Supra/subgingivally according to need